Most commonly used insulin for emergencies of diabetes like diabetes ketoacidosis
1. Lispro
2. Regular
3. Aspart
4. Glargine

Correct answer: 2. Regular

Explanation: Regular-actrapid insulin is most commonly used for DKA, Hyperosmolar coma. But the ultra long acting and ultra shio accting insulin are not preferred in emergency situations. other treatment for DKA is 0.9% normal saline , regular insulin I.V,management o f metabolic acidosis due to ketone bodies . Ref: Katzung 12 th ed.